Best investigation for Traumatic paraplegia
1. CT Scan
2. Routine Tomography (MRI)
3. X Ray spine
4. Myelography

Correct answer: 2. Routine Tomography (MRI)

Explanation: B i.e. MRI MRIQ is the investigation of choice for imaging traumatic spine (ex paraplegia). CT is second best investigation.